Sterilization is defined as -
1. Disinfection of skin
2. Complete destruction of all microorganisms
3. Destruction of pathogenic organisms
4. Decrease bacterial count from objects

Correct answer: 2. Complete destruction of all microorganisms

Explanation: Ans. is 'b' i.e., Complete destruction of all microorganisms Sterilizationo The process by which an article surface or medium is freed of all living microorganisms either in the vegetative or spore state - Complete absence of microorganism.Disinfectiono Destruction or removal of all pathogenic organisms capable of giving rise to infection - reduction in the microorganisms to such a level which is deemed no longer harmful to health.o Unlike sterilization, disinfection is not sporicidal (does not kill spores).Decontaminationo The process of rendering ofan article or area free of dangerfrom contaminants, including microbialt chemical, radioactive and other hazards.Antisepsiso It is defined as" Prevention of infection, usually by inhibiting the growth of bacteria in wound or tissues".Antisepticso Chemical disinfectants which can be safely applied to skin or mucous membrane are called antiseptics or skin disinfaetant.o Best and most commonly used antiseptic is povidone iodine (betadine). Commonly used skin disinfectants for hand washing are povidone iodine (betadine), chlorhexidine and isopropyl alcohol.Disinfectantso Antimicrobials applied only to inanimate object. They are not used for surface disinfection^^ (skin or mucous membrane).Germicideso These include both antiseptics and disinfectant.